False about pioglitazone?
1. It PPARy agonist
2. Metabolized in liver
3. Not given in case of diastolic dysfunction
4. It acts on insulin gene and even in absence of insulin helps in metabolism of carbohydrate

Correct answer: 4. It acts on insulin gene and even in absence of insulin helps in metabolism of carbohydrate

Explanation: Ans. is 'd' i.e., It acts on insulin gene and even in absence of insulin helps in metabolism of carbohydrate Pioglitazone has insulin sensitizing action, i.e., enhancing the effect of cinilating insulin. Therefore, insulin is neces? sary for the action of Pioglitazone, and it does not lower blood glucose in persons that lack endogenous insulin. o Pioglitazone is selective agonist for the nuclear PPAR-y which enhances the transcription of several insulin responsive genes. o Pioglitazone is contraindicated in CHF. Metabolism of Pioglitazone o Pioglitazone is extensively metabolized by hydroxylation and oxidation in liver. o Multiple CYP isoforms are involved in the metabolism of pioglitazone. The cytochrome p450 isoforms primarily involved are CYP 2C8 (major) and CYP3A4 (to a lesser degree).